Latzko procedure is done in case of
1. Uterine inversion
2. Retroverted uterus
3. Vesicovaginal fistula repair
4. Urethrocele repair

Correct answer: 3. Vesicovaginal fistula repair

Explanation: Latzko procedure is surgical technique for vesicovaginal fistula repair.